Calcification of pulp:
1. is in response to ageing
2. does not relate to the periodontal condition
3. precedes internal resorption
4. indicates presence of additional canal

Correct answer: 1. is in response to ageing